Schedule of post-exposure rabies prophylaxis in HIV infected persons -
1. 0,7, 28
2. 0,3,7,14,28
3. 0, 7, 14, 28
4. 0,3,7,14

Correct answer: 2. 0,3,7,14,28

Explanation: Ans. is 'b' i.e., 0,3,7,14,28 o Immunocompromized HIV-infected people might not develop sufficient immunological response, as immunity depends upon the CD4 T-cell-dependent neutrilizing response to the G-protein.o Rabies vaccines are used for post-exposure prophylexis and pre-exposure immunogenicity (pre-exposure prophylaxis)o The schedule is same as for normal rabies vaccination schedulei) Preexposure prophylaxis - 3 doses on day 0, 7 and 28.ii) Post-exposure prophylaxis - Five doses (Im) on day 0, 3, 7, 14, 28 (or abbreviated multisite 2-1-1, i.e. on day 0, 7, 21)iii) Post-exposure in previously vaccinated - Two doses on day 0 and 3. o Serological testing is done 15 days after last dose of vaccine and if -i) Antibody titres >0.5 IU/ml - Nothing to be doneii) Antibody titres < 0.5 IU/ml - Furter booster dose should be given and antibody titres should be rechecked.